Fetal position refers to
1. The relationship of an arbitrarily chosen portion of the fetal presenting part to the right or left side of the birth canal
2. That portion of the fetal body that is either foremost within the birth canal or in closest proximity to it
3. The relation of the fetal long axis to that of the mother
4. The form of an ovoid mass that corresponds roughly to the shape of the uterine cavity

Correct answer: 1. The relationship of an arbitrarily chosen portion of the fetal presenting part to the right or left side of the birth canal

Explanation: Fetal Lie: The relation of the fetal long axis to that of the mother is termed fetal lie and is either longitudinal or transverse. The presenting part is that portion of the fetal body that is either foremost within the birth canal or in closest proximity to it.In the later months of pregnancy, the fetus assumes a characteristic posture described as attitude or habitus. As a rule, the fetus forms an ovoid mass that corresponds roughly to the shape of the uterine cavity.Position refers to the relationship of an arbitrarily chosen portion of the fetal presenting part to the right or left side of the birth canal.(Ref: William's Obstetrics; 25th edition)